The ECG in hyperkalemia classically shows:
1. Increase QRS duration
2. Shortened PR interval
3. Prominent U waves
4. Increased R wave amplitude

Correct answer: 1. Increase QRS duration

Explanation: Ans. A: Increase QRS duration